Function of the blood plasma are all except
1. Transport hormones
2. Transport oxygen
3. Transport antibodies
4. Transport chylomicrons

Correct answer: 2. Transport oxygen

Explanation: Functions of plasma include:Transport of joined like catecholamines and thyroxineTransport of chylomicrons Transport of antibodies secreted by plasma cells Transport of oxygen occurs through blood, wherein oxygen binds to hemoglobin and is transportedRef: Medical physiology for UG students, Indu Khurana, page: 97